True about acute tubular necrosis -
1. Urine specific gravity > 1.020
2. Urine osmolality > 300 mosmoles/kg
3. Urine Na< 1Omeq/L
4. Blood urea nitrogen :plasma creatinine ratio < 20

Correct answer: 4. Blood urea nitrogen :plasma creatinine ratio < 20

Explanation: . A blood urea nitrogen (BUN)/creatinine ratio (BCR) >20 (0.081 in international unit) is used to distinguish pre-renal azotemia (PRA) and acute tubular necrosis (ATN). However, there is little evidence that BCR can distinguish between these two conditions and/or is clinically useful. Ref Harrison20th edition pg 278